In secondary syphilis, which one of the following features is not found -
1. Maculopapular rashes
2. Generalised non tender lymphadenopathy
3. Aortitis
4. Follicular syphilides

Correct answer: 3. Aortitis

Explanation: Ans. is 'c' i.e., Aortitis Aortitis is seen in tertiary syphilis.